A lady presents with swelling of hands with shiny skin. She has a history of fracture radius and kept on POP cast for 4 weeks after which she develops this. Give the most likely diagnosis:
1. Myositis ossification
2. Rupture of external pollicis longus tendon
3. Reflex sympathetic dystrophy
4. Malunion

Correct answer: 3. Reflex sympathetic dystrophy

Explanation: The reflex sympathetic dystrophy or shoulder-hand syndrome is a painful periarthritis or adhesive capsulitis of the shoulder ("frozen shoulder"), usually on the left side, associated with erythema, increased sweating, shiny induration, edema, tenderness, pain, and immobility of the ipsilateral hand. Reduction of finger flexion, loss of movement, temperature changes, sensory disturbances, and, hair/nail growth changes are seen. Neurotrophic ulcerations of the fingers and thickening of the palmar aponeurosis with nodules and/or Dupuytren contracture may be late sequelae. Ref: Johnston G.A., Graham-Brown R.A. (2012). Chapter 150. The Skin and Disorders of the Alimentary Tract, the Hepatobiliary System, the Kidney, and the Cardiopulmonary System. In K. Wolff (Ed), Fitzpatrick's Dermatology in General Medicine, 8e.